Iron source of poor man
1. Soya
2. Orange fruit
3. Jaggery
4. Almond

Correct answer: 3. Jaggery